True about pharyngeal diverticula are all excep
1. Results due to neuromuscular incoordination
2. Lies in the anterior wall of pharynx
3. They are normal in pig
4. Food may get accumulated

Correct answer: 2. Lies in the anterior wall of pharynx

Explanation: Killians dehiscence is a weak part in the posterior wall of the pharynx which lies at the level of vocal folds or upper border of the cricoid lamina and is limited inferiorly by the thick cricopharyngeal sphincter.Pharyngeal diverticula results due to outpouching of the dehiscenceTwo parts of the inferior constrictor has different nerve supplies, propulsive thyropharyngeus by the pharyngeal plexus and the sphincter cricopharyngeus by the recurrent laryngeal nerve so there is possibility of neuromuscular incoordination. If cricopharyngeus fails to relax and the thyropharyngeus contracts bolus of food may be pushed backwards and tends to produce a diverticulum